Spectrum of IDD does NOT include -
1. Still births
2. Hyperactivity
3. Deafness
4. Delayed development

Correct answer: 2. Hyperactivity

Explanation: The spectrum of iodine deficiency include goitre, hypothyroidism, strabismus, spasticity, endemic cretinsm,deafness, intrauterine death. REF. PARK'S TEXTBOOK OF PREVENTIVE AND SOCIAL MEDICAL 21ST EDITION. PAGE NO - 624